Nodular scabies is found in
1. Web space of finger
2. Axilla
3. Abdomen
4. Scrotum

Correct answer: 4. Scrotum

Explanation: D i.e. Scrotum